Disorder affecting muscles
1. Glycogen storage disorders
2. Mucopolysacharidoses
3. Xanthomatosis
4. None of the above

Correct answer: 1. Glycogen storage disorders

Explanation: (A) Glycogen storage disorders # Glycogen storage disease (GSD, also glycogenosis and dextrinosis) is the result of defects in the processing of glycogen synthesis or breakdown within muscles, liver, and other cell types. GSD has two classes of cause: genetic and acquired. Genetic GSD is caused by any inborn error of metabolism (genetically defective enzymes) involved in these processes.> The mucopolysaccharidoses share many clinical features but have varying degrees of severity. These features may not be apparent at birth but progress as storage of glycosaminoglycans affects bone, skeletal structure, connective tissues & organs> Xanthomatosis is the deposition of yellow-orange colour lipids in liver, spleen and flat bones of the skull.